Which of the following is a mineralocorticoid?
1. Cortisone
2. Estrogen
3. Testosterone
4. Aldosterone

Correct answer: 4. Aldosterone

Explanation: Ans. (d) AldosteroneRef.: Harrison 18th editiony Chapter 277